Urinary incontinence results from all except -
1. Neurogenic bladder
2. Vesico vaginal fistula
3. Ectopic ureter
4. Rectovesical fistula

Correct answer: 4. Rectovesical fistula

Explanation: Rectovesical fistula doesn’t cause urinary incontinence, as the level of fistula is above the sphincter mechanism.